Which of the following is contraindicated in a brain tumor patient?
1. CT scan
2. MRI
3. PET
4. Lumbar puncture

Correct answer: 4. Lumbar puncture

Explanation: Ans DAny intracranial space occupying lesion will result in increase in intracranial tension. Performing lumbar puncture in raised ICT results in tonsillar herniation which will affect vital centres adversely and can result in death.